On MR-spectroscope, at 3.2ppm which peak is seen?
1. Lipid lactate
2. N-acetyl aspartate
3. Creatinine
4. Choline

Correct answer: 4. Choline

Explanation: MR Spectroscopy compares the chemical composition of normal brain tissue with abnormal tumor tissue. Lipid lactate peak is seen at 1.33 ppm NAA peak is seen at 2 ppm Creatine at 3 ppm Choline at 3.2 ppm Figure: Choline peak at 3.2 ppm - primary CNS lymphoma